PDS is absorbed within?
1. 7 days
2. 21 days
3. 100 days
4. 180 days

Correct answer: 4. 180 days

Explanation: Polydioxanone (PDS): A synthetic smooth suture that is delayed absorbable, monofilament and lasts longer than dexon. It is absorbed in 6 months; other properties are the same as dexon.